Which of the following is NOT TRUE about primary HSV infections?
1. Primarily affects the anterior portion of the mouth
2. Causes acute gingivits
3. Occurs as epidemic
4. Shows prodromal symptoms

Correct answer: 3. Occurs as epidemic